True statement about metastases of malignant tumors of brain is:
1. Drop metastases can occur in the spinal cord
2. Lymph node metastases in patients who have had brain surgery
3. Metastases through man made shunts
4. All of the above

Correct answer: 4. All of the above

Explanation: Ans. (d) All of the above(Ref: Robbins 9th/pg 1312; 8th/pg 1336)Dissemination through the CSF is a common complication- giving rise to nodular masses at some distance from the primary tumor called as "drop metastases" is a feature of medulloblastomaMan made shunts provide a route for metastasis of malignant tumorsLymphomatous metastases, on the other hand, tend to produce a more diffuse pial enhancement, as breast and prostate metastases.